1 mole of myoglobin binds to how many moles of oxygen?
1. 1
2. 2
3. 4
4. None of the above

Correct answer: 1. 1

Explanation: Myoglobin is an iron-containing pigment found in skeletal muscle. It resembles hemoglobin but binds 1 rather than 4 mol of O2 per mole. Its dissociation curve is a rectangular hyperbola rather than a sigmoid curve. Because its curve is to the left of the hemoglobin curve (Figure 36-5), it takes up O2 from hemoglobin in the blood. It releases O2 only at low PO2 values, but the PO2 in exercising muscle is close to zero. The myoglobin content is greatest in muscles specialized for sustained contraction. The muscle blood supply is compressed during such contractions, and myoglobin may provide O2 when blood flow is cut off. Ref: Ganong's Review of Medical Physiology 23rd edition, Chapter 36.